Which of the following statement is true about colostrum? 1. Secreted after 11 days of childbirth 2. Rich in Immunoglobulin 3. Contains more protein than milk 4. Contains less fat than milk 5. Daily secretion is about 10ml/day
1. 1,2,3 False & 4,5 True
2. 2,3,4 True & 1,5 False
3. 2,3,4 False & 1,5 True
4. 1,2,4 True & 3,5 False

Correct answer: 2. 2,3,4 True & 1,5 False

Explanation: Colostrum is very rich in proteins, vitamin A and sodium chloride, but contains lower amounts of carbohydrates, lipids, and potassium than normal milk. Colostrum contains immunoglobulins such as IgA, IgG, and IgM.